Structures that passes through Foramen Magnum include all, EXCEPT:
1. Ascending cervical artery
2. Accessory nerve
3. Vertebral arteries
4. Spinal arteries

Correct answer: 1. Ascending cervical artery

Explanation: The foramen magnum transmits the spinal accessory nerve, vertebral arteries, the anterior and posterior spinal arteries, the membrana tectoria and alar ligaments. The foramen magnum is bounded laterally by the occipital condyles.Also Know:The foramen ovale, which transmits the third branch of the trigeminal nerve, the accessory meningeal artery, and (occasionally) the superficial petrosal nerve. Posterior to the foramen ovale is the foramen spinosum, which transmits the middle meningeal vessels. At the base of the styloid process is the stylomastoid foramen, through which the facial nerve exits. Ref: Waxman S.G. (2010). Chapter 11. Ventricles and Coverings of the Brain. In S.G. Waxman (Ed), Clinical Neuroanatomy, 26e